Magnan's symptom is ?
1. Auditory hallucination
2. Visual hallucination
3. Tactile hallucination
4. Olfactory hallucination

Correct answer: 3. Tactile hallucination

Explanation: Ans. is 'c' i.e., Tactile hallucination Magnan's symptoms is tactile hallucination (formication) i.e. feeling of bugs crawling under the skin seen with cocaine poisoning.